Earliest sign of intrauterine death is
1. Gas in blood vessels
2. Hyperflexion of fetal spine
3. Spalding's sign
4. Abortion

Correct answer: 1. Gas in blood vessels

Explanation: Intrauterine death : Presence of gas in the fetal large vessels - Roberts sign is the earliest sign seen 12 hrs after fetal death Ball sign - Crumpled up spine of the fetus or hyperflexion of the spine Spalding's sign -Overlapping of the fetal skull bones due to shrinkage of cerebrum after death of fetus. Ref:Dutta Obs 9e pg 303.